AG2P1  to female has a history of previous preterm birth at 32 weeks. The percentage chances of preterm birth in this pregnancy are:
1. 15%
2. 5%
3. 10%
4. 25%

Correct answer: 1. 15%

Explanation: Preterm labour is defined as spontaneous expulsion of the products of conception after viability and before 37 completed weeks.
Prior preterm birth is a very good predictor of subsequent preterm labour. There is a three-fold increase in risk for these women